Blunted y descent is seen with?
1. Tetralogy of Fallot
2. Tricuspid stenosis
3. Tricuspid regurgitation
4. Tricuspid atresia

Correct answer: 2. Tricuspid stenosis

Explanation: Normally 'y' descent seen at diastasis event but if there is any obstruction in valve opening = y descent will be blunted (absent). 2 causes of Blunted 'y' descent: i) C. Tamponade ii) T. Stenosis Option A: TOF= Large 'A' wave in JVP. Option C: Tricuspid Regurgitation= Steep Y descent =Constrictive Pericarditis= Steep x & steep y = Cardiac Tamponade= Steep x & Absent/Blunted y